Sodalime circuit is not used in anaesthesia with:
1. Enflurane
2. Isoflurane
3. Trichloroethylene
4. Methoxyflurane

Correct answer: 3. Trichloroethylene

Explanation: Trichloroethylene